The commonest cause of non-gonococcal urethritis is -
1. Chlamydia
2. Ureaplasma urealyticum
3. E. coli
4. Proteus

Correct answer: 1. Chlamydia